All are Lyophilized vaccines except
1. BCG
2. Yellow fever
3. Measeles
4. Tetanus

Correct answer: 4. Tetanus